Treatment of stage I bladder cancer is
1. Radical cystectomy
2. Endoscopic removal with intravesical chemotherapy
3. Chemotherapy
4. Radiotherapy

Correct answer: 2. Endoscopic removal with intravesical chemotherapy

Explanation: Answer- B. Endoscopic removal with intravesical chemotherapy